Furosemide mechanism of action in LVF is:
1. Inhibitor of Na-K-Cl ion symport
2. Aldosterone antagonist
3. Mercurial derivative
4. Carbonic anhydrase inhibitor

Correct answer: 1. Inhibitor of Na-K-Cl ion symport

Explanation: Ans. A: Inhibitor of Na-K-Cl ion symport Like other loop diuretics, furosemide acts by inhibiting the Na-K-2C1 symporter in the thick ascending limb of the loop of Henle. The action on the distal tubules is independent of any inhibitory effect on carbonic anhydrase or aldosterone; it also abolishes the corticomedullary osmotic gradient and blocks negative as well as positive free water clearance.